The most commonly performed test for serodiagnosis of syphilis is -
1. TPHA
2. Waserman
3. TPT
4. VDRL

Correct answer: 4. VDRL

Explanation: Ans. is 'd' i.e., VDRL